Which Endotracheal tube has preformed bend present-
1. Laser tube
2. RAE tube
3. Flexometallic tube
4. Standard tube

Correct answer: 2. RAE tube

Explanation: RAE tube with preformed bend is used for cleft lip n palate surgery. RAE- ETT Shaped for nasal and oral intubations Useful for directing ETT & circuit away from surgical field May make suctioning difficult The nasal RAE is often used for oral surgery or mandibular Fx for ORIF. The oral RAE is used in any surgery to facilitate directing the tubes away from the surgical field above the neck (ophthalmology, ENT or facial surgery) or for T&A with the mouth gag.